The best parameter to measure air pollution is -
1. So2
2. CO2
3. CO
4. N2O

Correct answer: 1. So2

Explanation: Air pollution denotes the presence in the ambient atmosphere of substances generated by activities of man in concentrations that interfere with human health ,safety ,comfort,or injurious to vegetation and animals and other environment . The best indicators to monitor air pollution are sulpher dioxide,smoke and suspended particles.Sulpher dioxide gas is major contaminant in urbna and industrial areas. Other indicator to monitor air pollution are smoke or soiling index,dust measurement,air pollution index,coefficient of haze. Parks textbook of preventive and social medicine.K Park. Edition 23.Pg no: 736